Which of the following drugs require dose adjustment in renal failure -
1. Cefoperazone
2. Doxycycline
3. Streptomycin
4. Rifampicin

Correct answer: 3. Streptomycin

Explanation: Ans. is 'c' i.e., Streptomycin